A 1-year old male child was hospitalized for Kawasaki's disease 4 weeks ago and has recovered from an acute illness. He is placed on long-term aspirin therapy. Which of the following statements is false?
1. Influenza shot should not be given
2. MMR vaccine should not be given
3. Varicella vaccine should not be given
4. Hepatitis A vaccine can be given

Correct answer: 1. Influenza shot should not be given

Explanation: The false statement in this case is that influenza shot should not be given. Patients undergoing long-term aspirin therapy should receive annual infleuenza vaccination to reduce the risk of Reye syndrome. Option B and C- Live vaccines (MMR/Varicella) should be deferred untill 11 months after IVIG administration since IVIG may interfere with immune response Option D: Non-live vaccinations (hepatitis A) do not need to be delayed) Ref: Nelson textbook of pediatrics 21st edition Pgno: 1316